In a DNA the coding region reads 5'-CGT-3'. This would code in the RNA as:
1. 5'-CGU-3'
2. 5'GCA-3'
3. 5'-ACG-3'
4. 5'-UGC-3'

Correct answer: 1. 5'-CGU-3'

Explanation: A i.e. 5' - CGU - 3'